A 46-year-old patient comes to doctor's OPD with complains of chest pain and headache. His computed tomography (CT) scan reveals a tumor located just superior to the root of the right lung. Blood flow in which of the following veins is most likely blocked by this tumor?
1. Hemiazygos vein
2. Arch of the azygos vein
3. Right subclavian vein
4. Right brachiocephalic vein

Correct answer: 2. Arch of the azygos vein

Explanation: The azygos vein arches over the root of the right lung and empties into the SVC. Other veins do not pass over the root of the right lung.